Which of the following is false about WPW syndrome
1. Accessory bundle between atria and ventricles without conduction delay
2. Short PR interval
3. Epsilon waves
4. Wide QRS complexes

Correct answer: 3. Epsilon waves

Explanation: Delta waves are seen in WPW syndrome.